The following fungi are thermally dimorphic except-
1. Sporothrix schenckii
2. Cryptococcus neoformans
3. Blastomyces dermatitidis
4. Histoplasma capsulatum

Correct answer: 2. Cryptococcus neoformans